The function of Carotid body is
1. Measures the change in PO2 in arterial blood
2. Measures PO2 in venous blood
3. Measures the change in CO2 in arterial blood
4. Measures the change in CO2 in venous blood

Correct answer: 1. Measures the change in PO2 in arterial blood